Kohler's disease involves:
1. Femoral head
2. Navicular bone
3. Tibial tubercle
4. Lunate bone

Correct answer: 2. Navicular bone

Explanation: (Navicular bone) (269-M)Common osteochondritisNameSite affected* Perthes' disease- Femoral disease* Fanner's disease- Capitulum* Keinbock's disease- Lunate bone* Osgood shlatter's disease- Tibial tubercle* Sever's disease- Calcaneal tuberosity* Kohler's disease- Novicular bone* Fricberg's disease- Metatarsal head* Scheurmann's disease- Ring epiphysis of vertebrae* Calve's disease- Central bony nucleus of vertebral body